A 13 years old boy often argue with parent and teachers. However he is not physical aggressive and there is no history of drug abuse, theft, lying or bullying. Most likely diagnosis is-
1. Conduct disorder
2. Oppositional defiant disorder
3. Autism
4. Pervasive developmental disorder

Correct answer: 2. Oppositional defiant disorder

Explanation: Ans: B. Oppositional defiant disorder(Ref: Kaplan & saddock's th/e p. 11391)This boy is showing a pattern of defiance of authority (arguing with parents and teachers).There are no features of conduct disorder (drug abuse, theft' lying).Thus, the diagnosis is oppositional defiant disorder.